Sensory supply for skin over angle of jaw is
1. Opthalmic nerve
2. Mandibular nerve
3. Cervical plexus
4. Maxillary nerve

Correct answer: 3. Cervical plexus

Explanation: Cervial plexus supplies Skin over the angle of the jaw and over the parotid gland. Lower margin of the lower jaw